A 35 years old male came with a progressive plaque over buttock for the last 2 years.The plaque is annular in shape with scarring in centre. Most likely diagnosis is:
1. Tinea corporis
2. Lupus vulgaris
3. Borderline leprosy
4. Kala azar

Correct answer: 2. Lupus vulgaris

Explanation: Annular plaque, progressive in nature with typical central scarring suggest of lupus vulgaris.
Central clearing : Tinea corporis
Central crusting : Kala azar